Functions of endocervical cell lining are
1. Cilia are directed downwards
2. Provides nutrition to sperms
3. Allows capacitation of sperms
4. All of the above

Correct answer: 4. All of the above

Explanation: Endocervical cell lining.
→ Provides nutrition to sperms
→ It allows capacitation of sperms
→ cilia are directed downwards and prevent ascending infection.